All are features of pagets disease except -
1. Defect in osteoclasts
2. Common in females
3. Can cause deafness
4. Can cause osteosarcoma

Correct answer: 2. Common in females

Explanation: Answer- B. Common in femalesPaget's disease is stightly more common in males and is seen after 40 years of age,The pelvic and tibia being the commonest sites, and femur, skull, spine (veebtae) anil clavicle the next common.Deafness and osteosarcoma (rarely) are complications of Paget's disease.\\Primary defect is in osteoclasts